Laryngeal mask airway is used for
1. Airway maintenance
2. Cardiopulmonary resuscitation
3. Positive pressure ventilation
4. All of the above

Correct answer: 4. All of the above

Explanation: Laryngeal mask airway is used in airway maintenance, cardiopulmonary resuscitation, positive pressure ventilation